Which of the following drug is useful in prophylaxis of migraine?
1. Propranalol
2. Sumatriptan
3. Aspirin
4. Ergotamine

Correct answer: 1. Propranalol

Explanation: Migraine: Propranolol is the most effective drug for chronic prophylaxis or migraine.​
Drug therapy of migraine